Yellow Fatty liver is characteristic of poisoning with:
1. Arsenic
2. Mercury
3. Phosphorus
4. Oxalic Acid

Correct answer: 3. Phosphorus

Explanation: Yellow fatty liver is characteristic of poisoning with Phosphorus. Mercury and arsenic may have fatty liver, but is most characteristic with the poisoning of phosphorus. Ref: The Essentials of Forensic Medicine and Toxicology By Dr K S Narayan Reddy, 27th Edition, Page 474, 484, 485; Harrison's Principles of Internal Medicine, 16th Edition, Page 1870